A 8 year old boy presents with recurrent pneumonia since birth. The boy had a history of delayed passage of Meconium at  birth. Probable diagnosis is
1. Kartagener's syndrome
2. Bronchiectasis
3. Cystic fibrosis
4. Hirnchiprung disease

Correct answer: 3. Cystic fibrosis

Explanation: Features of Cystic fibrosis

Delayed passage of Meconium
Recurrent pneumonia
Steatorrhea
Late onset Diabetes
Azoospermia